Which type of variable “Social Class” is, if it has four categories-I to V and Class I is the highest social class and Class V is the lowest?
1. Dichotomous
2. Ordinal
3. Nominal
4. Interval

Correct answer: 2. Ordinal